Gonococcus does not involve
1. Epididymis
2. Testis
3. Prostate
4. Anterior urethra

Correct answer: 2. Testis

Explanation: In men, the disease caused by gonococci starts as an acute urethritis with a mucopurulent discharge containing gonococci in large numbers. Infection extends along the urethra to prostrate, seminal vesicles and epididymis. Chronic urethritis may lead to stricture formation. The infection may spread to periurethral tissues, causing abscess and multiple discharging sinuses (water can perineum) Reference: Textbook of Microbiology; Anathanarayan and panicker's; 10th edition; Page no: 235